Which of the following play most important role in memory
1. Synaptic network
2. Electric conduction network
3. Conductivity circuit
4. Conductivity network

Correct answer: 1. Synaptic network

Explanation: Ans. (a) Synaptic network(Ref: Ganong, 25th ed/p.284)Memory information is stored across diffuse network of neurons in brainSynapses across those neuronal network is strengthened by repetition of what is learned